Water is a poor conductor of electricity because it is
1. Non ionised
2. Neutral solution
3. Low specific gravity
4. High specific gravity

Correct answer: 1. Non ionised

Explanation: Ans: a (Non ionised) Reg: Harper's 27th ed/p.5,6Pure water (de ionised water) is a poor conductor of electricity. The electrical conductance of water increases when there are impurities (salts), resulting in more number of ions for electrical conduction.A water molecule is an irregular, slightly skewed tetrahedron with oxygen at its center. It is a strong dipole, with high dielectric constant of 78.5 which enable water to dissolve large quantities of charged compounds such as salts.Water is an excellent nucleophile.